Not a radiosensitizing drug ?
1. 5-Fu
2. BUDR
3. Cyclophosphamide
4. Hydroxyrea

Correct answer: 3. Cyclophosphamide

Explanation: Ans. is'c'i.e., Cyclophosphamide lRef. Cancer nursing: Principles & practice p. 256Clsplatin and 5-FU - Most common radiosensitive drugs.